In schizophrenia, FALSE is:
1. 3rd person auditory hallucination
2. Formal thought disorder
3. Inappropriate emotions
4. Sustained mood changes

Correct answer: 4. Sustained mood changes

Explanation: Ans. D i.e. Sustained mood changes In Schizophrenia, there is NO prominent mood disorder of depressive or manic type Schizophrenia 1st rank symptoms of schizophrenia: - Hallucination, - Thought alienation phenomenon: Thought insertion, Thought withdrawl Thought broadcasting - Delusional perception - Passivity phenomenon Bleulers criterion for schizophrenia: - Association disturbance, - Affect disturbance, - Autism and - Ambivalence 1st symptom to go with treatment: Auditory hallucination Amphetamines causes: Paranoid schizophrenia Late onset schizophrenia: More than 40 years Good prognostic factor: - Acute onset, - Late onset etc.